Which among the following genital malignancy is the most lethal
1. CA endometrium
2. CA vulva
3. CA cervix
4. CA ovary

Correct answer: 4. CA ovary

Explanation: Ans d As they arc delected la (Ref: Sheila Balakrishtian(gynaec) page 252)5 yr survival rate in endometrial cancer-76% Stage 1 - 90% CA cervix-85 %CAovary-76-11 % CA vulva-90%Ovarian cancers are a clinical challenge as majority are asymptomatic in th disease processIt has the highest mortality among gynaecological cancer.